Satellite nodule on a corneal ulcer is seen due to
1. Fungal infection
2. Bacterial infection
3. Viral infection
4. Protozoal infections

Correct answer: 1. Fungal infection

Explanation: (Fungal infection) (100- Khurana 4th)FUNGAL - KERATITIS - caused by filamentous fungiSign.* It is dry looking grayish- white with elevated rolled out margins* Delicate feathery finger like extension are present into the surrounding stroma under the intact epithelium* A sterile immune-ring (yellow line of demarcation) may be present* Multiple small satellite lesions may be present around the ulcer* Usually a big hypopyon unlike bacterial ulcer may not be sterile and the fungi can penetrate into the anterior chamber without perforation* Perforation in mycotic ulcer is rare but can occure* Corneal vascularization is consipicusly absent